Definitive treatment of phobias is
1. Behavioural therapy
2. Social therapy
3. Avoidance
4. Drug therapy

Correct answer: 1. Behavioural therapy

Explanation: Behaviour therapy- most studied and most effective treatment for phobias. Ref- Synopsis of Psychiatry, 11e, pg 404.